What happens in hypertrophy ?
1. Increase no. of cells
2. Increase size of cells
3. Increase protein in cells
4. Decrease in cell number

Correct answer: 2. Increase size of cells

Explanation: Ans. is `b' i.e., Increase in size of cells